Solitary rectal ulcer is
1. Due to anterior wall prolapsed
2. Malignant
3. Always treated by surgery
4. Easy to traet

Correct answer: 1. Due to anterior wall prolapsed

Explanation: This is becoming a more commonly diagnosed problem. Classically, it takes the form of an ulcer on the anterior wall of the rectum. In this form, it must be differentiated from a rectal carcinoma or inflammatory bowel disease, particularly Crohn's disease.it may be due to a combination of internal intussusception or anterior rectal wall prolapse and an increase in intrarectal pressure. Ref: Bailey & Love's Short Practice of Surgery,E25,Page-1227